HLA-B* 1502 is associated with
1. Vogt - Koyangi -Harada sydrome
2. Posner Schlossman syndrome
3. Steven Johnson syndrome
4. Myasthenia gravis

Correct answer: 3. Steven Johnson syndrome

Explanation: HLA-B* 1502 Carries increased risk of Steven Johnson Syndrome.